HIV virus can be isolated from all except -
1. Semen
2. Saliva
3. Blood transfusion
4. Skin scraping

Correct answer: 4. Skin scraping

Explanation: HIV virus is transmitted thtough semen,saliva,blood transfusion REF:
MICROBIOLOGY ANANTHA NARAYANAN NINTH EDITION PAGE.583